Vocal cord is lined by:
1. Stratified columnar epithelium
2. Pseudociliated columnar epithelium
3. Stratified squamous epithelium
4. Cuboidal epithelium

Correct answer: 3. Stratified squamous epithelium

Explanation: Whole of larynx is lined by ciliated columnar epithelium except the vocal cords and upper part of vestibule which is lined by stratified squamous epithelium. Mucous glands are distributed all over the larynx except the vocal cords, which is lubricated by mucus from glands within the saccule. The squamous epithelium of vocal fold is, therefore prone to desiccation if these glands cease to function as in radiotherapy.